If the kidney biopsy is done in a bronchogenic carcinoma patient who presents as a case of nephrotic syndrome, which lesions will be seen most likely?
1. Membranous GN
2. Focal proliferative GN
3. Minimal change disease
4. Focal segmental glomerulosclerosis

Correct answer: 1. Membranous GN

Explanation: If a nephrotic syndrome presents in an adult patient, underlying malignancy should be considered. It may be found in 10- 22% of cases, being more prevalent in the older age group. Though both MGN and MPGN can be associated with lung malignancy, on a comparative basis the more commonly seen is MGN and is hence the answer in the question.